Which of the following drugs is contraindicated in a patient with history of sulfa allergy presenting with an acute attack of angle closure glaucoma –
1. Glycerol
2. Acetazolamide
3. Mannitol
4. Latanoprost

Correct answer: 2. Acetazolamide

Explanation: Carbonic anhydrase inhibitors are contraindicated in patients hypersensitive to sulfonamide (sulfa drugs).